Chlamydia are isolated by :
1. Enzyme immune assay
2. Yolk sac inoculation
3. Direct immunofluorescence
4. Micro immunofluorescence

Correct answer: 2. Yolk sac inoculation

Explanation: Isolation of chlamydiae can done by :
Inoculationinto yolk sac/embryonated eggs of 6-8 day old chick embryo which may be pretreated by streptomycin or polymyxin
Inculation into experimental animals (mice)
Tissue/cell culture :
Preferred mode
Commonly used cell lines are McCoy and HeLa cells.
Cell cultures are pretreated by irradiation or chemicals such as 5-iodo – 2 deoxyuridic or cycloheximide to enhance replication and detection of inclusion bodies.
Pretreatment with DEAE dextrax or centrifugation after inoculation, promotes contact between chlamydiae particles and cell monolayer.